Beta oxidation of very long chain fatty acids occurs
1. Cytoplasm
2. Endoplasmic reticulum
3. Lysosome
4. Peroxisomes

Correct answer: 4. Peroxisomes

Explanation: Ans. is 'd' i.e., Peroxisomes